Proliferative diabetic retinopathy is treated by
1. Pan retinal photocoagulation
2. Pars plana vitrectomy
3. Grid laser photocoagulation
4. Focal retinal photocoagulation

Correct answer: 1. Pan retinal photocoagulation

Explanation: Panretinal photocoagulation (PRP) is the preferred form of treatment of proliferative diabetic retinopathy(PDR). ... In cases where macular edema and PDR coexist, laser treatments are performed: first, laser treatment is used for the macular edema; then for PDR, the PRP is spread over 3 to 4 sessions Ref AK khurana 6/e p278